Which of the following is true about P. Falciparum -
1. James donts are seen
2. Accole forms are seen
3. Relapses are frequent
4. Longest incubation period

Correct answer: 2. Accole forms are seen

Explanation: P.falciparum Forms in peripheral blood-ring forms and gametocytes (crescent shaped) A) Most pathogenic B). No relapses in P.falciparum-exo-erythrocytic schizogony is absent C). Complications-pernicious malaria,black water fever D)pernicious malaria-1). Cerebral malaria-hyperpyrexia, coma,paralysis.Brain is congested.Capillaries of the brain are plugged with parasitised erythrocytes 2). Algid malaria-cold clammy skin leading to circulatory failure 3). Septicaemic malaria- high continuous fever with involvement of various organs Black water fever * Previously infected * Intravascular haemolysis fever and haemoglobinuria * Autoimmune mechanism * Bilious vomiting+prostration+black urine(refer pgno:60 baveja 3 rd edition)